Which is not a test for ovulation?
1. Fern test
2. Basal body temperature
3. Hysteroscopy
4. LH surge

Correct answer: 3. Hysteroscopy

Explanation: ANSWER: (C) HysteroscopyREF: 12th edition of Novak's Gynecology p. 408METHODS TO DOCUMENT OVULATION:Luteinizing Hormone Monitoring Documentation of the LH surge represents a remarkably reproducible method of predicting ovulation. Ovulation occurs 34 to 36 hours after the onsetof the LH surge and about 10 to 12 hours after the LH peakBasal Body Temperature The least expensive method of confirming ovulation is for the patient to record her temperature each morning on a basal body temperature (BBT) chart.Midluteal Serum ProgesteroneUltrasound Monitoring Ovulation can also be documented by monitoring the development of a dominant follicle by ultrasound until ovulation takes placeA ferning pattern is seen when periovulatory cervical mucus is spread and dried on a microscope slide.